All of the following clinicopathologic features are seen more often in seminomas as compared to nonseminomatous germ cell tumors of the testis except:
1. They are radiosensitive
2. They metastasize predominantly by lymphatics
3. They are often associated with raised levels of serum AFP and HCG
4. All

Correct answer: 3. They are often associated with raised levels of serum AFP and HCG

Explanation: Answer is 'c' ie They are often associated with raised levels of serum AFP and HCG